Which drug is not used for erectile dysfunction?
1. Phenylephrine
2. Apomorphine
3. Yohimbine
4. Vardenafil

Correct answer: 1. Phenylephrine

Explanation: Physiological erection occurs in response to the release of nitric oxide from noradrenergic - nor cholinergic nerves associated with parasympathetic discharge. Nitric oxide acts by activating guanylyl cyclase -| CGMP - cavernosal relaxation resulting in the erection. Thus the drugs which can be used for erectile dysfunction are: 1. PGE-l analogs eg Alprostadil 2. antagonists 3. Sildenafil (PDE - inhibitor) and its congeners tadalafil and vardenafil 4. Apomorphine (releases DA in CNS). Ref; KD Tripathi 8th ed.